The following is used for testing absorption in intestine -
1. Xylose
2. Sucrose
3. Fructose
4. Maltose

Correct answer: 1. Xylose

Explanation: D-xylose absorption test is used to check how well your intestines are absorbing a simple sugar called D-xylose. From the results of the test, your doctor can infer how well your body is absorbing nutrients. D-xylose is a simple sugar that occurs naturally in many plant foods. Ref Davidson edition23rd pg 822